IL-1 and TNF - α during inflammation are secreted by
1. Plasma cells
2. Activated macrophages
3. Lymphocytes
4. Platelet

Correct answer: 2. Activated macrophages